School closure is recommended during an outbreak of swine flu. All of the following support this except:
1. Closure of school will not lead to reduction in contact between children
2. Children are the most common affected population by swine flu
3. Increased rates of transmission due to more opportunities for contact
4. Playing together of students increases transmission

Correct answer: 1. Closure of school will not lead to reduction in contact between children

Explanation: Ans. a. Closure of school will not lead to reduction in contact between children It was estimated that school holidays reduced the reproduction number of Influenza H1N1 by 14-27% in different regions of India, relative to levels seen outside holiday periods. This work reinforces studies showing the significant impact of school holidays on spread of pandemic influenza virus, and by inference the role of contact patterns in children on transmission.'- Transmission dynamics of the 2009 influenza A (H1N1) pandemic in India: the impact of holiday-related school closure. J Epidemics